Uterine artery is branch of -
1. Anterior branch of internal iliac
2. Posterior branch of internal iliac
3. Anterior division of external iliac
4. Psterior division of external iliac

Correct answer: 1. Anterior branch of internal iliac

Explanation: Ans. is 'a' i.e., Anterior branch of internal iliac o Branches of anterior division of internal iliac artery are : (i) Superior vesical, (ii) Middle rectal, (iii) Inferior vesical (in males), (iv) Internal pudendal, (v) Vaginal (in females), (vi) Uterine (in females), (vii) Obturator, and (viii) Inferior glutealo Branches of posterior division are : (i) Iliolumbar, (ii) Lateral sacral, and (iii) Superior gluteal.